False regarding adult polycystic kidney disease ?
1. M/C cause of death is cardiovascular
2. Cysts cannot covert to cancer
3. Autosomal dominant
4. PCKD associated with PKD2 gene is severe

Correct answer: 4. PCKD associated with PKD2 gene is severe

Explanation: PKD1 gene - severe.
PKD2 gene - milder.